Which of the following anti TB drug is NOT bactericidal
1. Rifampicin
2. Isoniazid
3. Pyrazinamide
4. Ethambutol

Correct answer: 4. Ethambutol

Explanation: Ans. (d) EthambutolRef. KDT/742* Ethalmbutol is selectively tuberculostatic and clinically as active as Streptomycin.1st Line ATT Drugs action on bacteria and hepatoxictyDrugBactericidal/ BacteristaticHepatotoxicityIsoniazidCidal+RifampicinCidal+PyrazinamideCidal++++EthambutolSTATIC-NoStreptomycinCidal-No